Opium poisoning is featured by -a) Constricted pupilb) Respiratory depressionc) Tachycardiad) Tachypneae) Hallucination
1. a
2. b
3. abe
4. ad

Correct answer: 3. abe

Explanation: Constricted pupil, respiratory depression and hallucination are seen in opium poisoning.
There is bradycardia (not tachcardia) and slow breathing (not tachypnea).